Which of the following has highest malignant transformation rate:
1. Erythroplakia.
2. Proliferative Verrucous leukoplakia
3. Speckled leukoplakia.
4. Homogenous leukoplakia.

Correct answer: 2. Proliferative Verrucous leukoplakia